All of the following open into right atrium except
1. Anterior cardiac vein
2. Venae cordis minimi
3. Coronary sinus
4. Middle cardiac vein

Correct answer: 4. Middle cardiac vein

Explanation: Middle cardiac vein accompanies the posterior interventricular artery and joins the middle part of coronary sinus B D CHAURASIA'S HUMAN ANATOMY UPPER LIMB THORAX-VOLUME 1 SIXTH EDITION Page no:255,267